'Ring vaccination' is
1. Given by a ring shaped machine
2. Given to produce a ring lesion
3. Given around 100 yards of a case detected
4. Given around a mile of a case

Correct answer: 3. Given around 100 yards of a case detected

Explanation: Ring vaccination is a strategy to inhibit the spread of disease by vaccinating only those who are most likely to be infected.